‘Thirst center’ that controls the ingestion of water is located in:
1. Hypothalamus.
2. Medulla oblongata
3. Gastric mucosa.
4. None of the above.

Correct answer: 1. Hypothalamus.